A case of 32 weeks of pregnancy with cornual placenta with breech presentation, treatment of choice is :
1. Wait & Watch
2. External cephalic version
3. Elective C. S.
4. Vaginal breech delivery

Correct answer: 1. Wait & Watch

Explanation: Wait & Watch